Shoe polish like smell is seen in:
1. Mercaptans
2. Lacquer
3. Paraldehyde
4. Nitrobenzene

Correct answer: 4. Nitrobenzene

Explanation: Ans. d. Nitrobenzene (Ref: Reddy 33/e p507; Industrial Hygiene and Toxicology. General Principles/p 174)Shoe polish like smell is seen in Nitrobenzene."Nitrobenzene is an oily yellow to yellow-brown liquid that smells like bitter almonds or shoe polish. Nitrobenzene dissolves only slightly in water and easily in other chemicals. It is man-made. The most common exposure is at workplaces that use nitrobenzene to produce dyes, drugs, pesticides or some types of rubber. "Characteristic Odours produced by ToxinsOdourToxinsAcrid (Pear smell)* ParaldehydeQ, Chloral hydrateQBitter almonds* CyanideQBurnt rope* Marijuana (Cannabis)QDisinfectant* Phenol (Carbolic acid), CreosoteGarlic* PhosphorusQ, Tellurium, Thallium* Dimethyl sulfoxide (DMSO)Fish or raw liver (Musty)* Zinc phosphideQ. Aluminum phosphideQKerosene like* OrganophosphateMint* Methylsalicylate (Oil of Wintergreen), MentholMothballs* Naphthalene, Camphor, p-dichlorobenzenePepper* o-chlorobenzylidene malonitrile (Tear gas)Rotten eggs* Hydrogen sulphideQ, Carbon disulphideQ* Mercaptans DisulfiramQ, N -acetyIcysteineQShoe polish* NitrobenzeneVinegar* Acetic acidQ; Hydrofluoric acid